In Accelerated HTN what is metabolic defect:
1. Normal non-ionic metabolic acidosis
2. Ionic gap met acidosis
3. Hypomagnesemia
4. Metabolic alkalosis

Correct answer: 4. Metabolic alkalosis

Explanation: Answer is D (Metabolic Alkalosis) Accelerated Hypertension is associated with metabolic alkalosis. Accelerated Hypertension is a state in which there is renal underperfusion, high renin and increased aldosterone. This may result in hypokalemia and metabolic alkalosis.